A 28-year-old male complains of glare in both eyes. The cornea shows whorl-like opacities of the epithelium. He also gave a history of long-term treatment with amiodarone. The most likely diagnosis is –
1. Terrain's marginal degeneration
2. Cornea verticillata
3. Band shaped keratophathy
4. Arcus juvenalis

Correct answer: 2. Cornea verticillata

Explanation: Whorl like corneal opacities in corneal epithelium, in a patient on amiodarone, suggests the diagnosis of corneal verticillata.